CSF is partly absorbed by lymphatics around cranial nerves -
1. I, II, VII, VIII
2. I, II, VI, VII
3. I, III, VII, VIII
4. I, II, VI, VIII

Correct answer: 1. I, II, VII, VIII

Explanation: CSF is absorbed through 3 ways:

Arachnoid villi and granulations (main)
Perineural lymphatics around 1st, 2nd, and 8th cranial nerves and
Veins related to spinal nerves.